In lag screw technique, what is the function of counter-sink?
1. Assures appropriate receptacle for screw head
2. It is the hole made in the distal fragment that engages the screw threads
3. It is the hole made in the proximal segment that does not engage the screw threads
4. It is non functional

Correct answer: 1. Assures appropriate receptacle for screw head

Explanation: To flush the obliquely place screw head with the rest of the proximal cortex, countersink is made that acts as a receptacle for engaging the end of screw head.